Commonest cause of death in peptic ulcer patients is ?
1. Perforation
2. Hemorrhage
3. Pyloric stenosis
4. Maliganancy

Correct answer: 2. Hemorrhage

Explanation: Ans. is 'b' i.e., Hemorrhage